Ideal contraceptive for a couple living in different cities meeting only occasionally :
1. Barrier method
2. IUCD
3. OCP
4. DMPA

Correct answer: 1. Barrier method

Explanation: The advantages of condom are: 1 they are easily available 2 safe and inexpensive 3 easy to use 4 no side effects 5 light ,compact and disposable 6 provides protection not only against pregnancy but also against STD PARKS TEXTBOOK OF PREVENTIVE AND SOCIAL MEDICINE 23 rd EDITION PAGE NO 494